From full dilatation of cervix to complete birth of baby is?
1. 1st stage
2. 2nd stage
3. 3rd stage
4. 4th stage

Correct answer: 2. 2nd stage

Explanation: 2nd stage.